Sumatriptan is used in :
1. Mania
2. Depression
3. Schizophrenia
4. Migraine

Correct answer: 4. Migraine